Amaurosis fugax does not occur in
1. Papillitis
2. Migraine
3. Giant cell arteritis
4. Venous stasis retinopathy

Correct answer: 1. Papillitis

Explanation: Amaurosis fugax is due to transient failure of retinal circulation.
Occurs in papilledema but not in papillitis.